A 29-year-old patient comes in; he cannot flex the distal interphalangeal (DIP) joint of the index finger. His physician determines that he has nerve damage from a supracondylar fracture. Which of the following conditions is also a symptom of this nerve damage?
1. Inability to flex the DIP joint of the ringfinger
2. Atrophy of the hypothenar eminence
3. Loss of sensation over the distal part of the second digit
4. Paralysis of all the thumb muscles

Correct answer: 3. Loss of sensation over the distal part of the second digit

Explanation: Median nerve is injured in supracondylar fracture. It supplies The flexor digitorum profundus muscle flexes the DIP joints of the index and middle fingers sensation over the distal part of the second digit. The median nerve innervates the thenar muscles. So atrophy of hypothenar muscle will not occur.